During which orthodontic tooth movement center of rotation is at the bracket slot:
1. Controlled movement
2. Torque
3. Rotation
4. Translation

Correct answer: 2. Torque